Which nonopioid medication can be used to treat some of the symptoms of opioid withdrawal syndrome?
1. Chlordiazepoxide
2. Haloperidol
3. Methadone
4. Clonidine

Correct answer: 4. Clonidine

Explanation: Clonidine, Alpha 2 receptor agonist, is used to suppress some of the symptoms of mild opioid withdrawal. Clonidine is particularly useful in the detoxification of patients maintained on methadone.